Round, ribbon-shaped, ovoid, bowling pin and kidney-bean are all types of root canals seen on
1. Oblique section
2. Longitudinal section
3. Sagittal section
4. Cross section

Correct answer: 4. Cross section